Which muscarinic receptor causes dilatation of vessels?
1. M1
2. M2
3. M3
4. M4

Correct answer: 3. M3

Explanation: Ans. is 'c' i.e., M3(Ref: Rapid Review of Physiology p.j32)M3 receptors are found in vessels (endothelium).Activation of these receptors causes vasodilation by release of EDRF(NO).Unique muscarinic receptors in that their activation does not cause release of acetylcholine, rather causes release of EDRF(NO).